The hydrolytic step leading to the release of a polypeptide chain from a ribosome is catalyzed by which of the following?
1. Dissociation of ribosomes
2. Peptidyl transferase
3. Release factors
4. Stop codons

Correct answer: 2. Peptidyl transferase

Explanation: Peptidyl transferase is responsible for the release of peptidyl chain from a ribosome The release is not done by releasing factor, During termination of translation we have releasing factors: In prokaryotes - RF 1 2 3 Eukaryotes - eRF Releasing factor (misnomer) - it can only recognize the stop codon Hence, The hydrolytic step leading to the release of a polypeptide chain from a ribosome is catalyzed by Peptidyl transferase (not by releasing factors).